True about fatty liver of pregnancy:a) Common in third trimesterb) Microvesicular fatty changesc) Lysosomal injury is the caused) Alcohol is the main causee) Recurrence is very common
1. ac
2. ab
3. ad
4. bc

Correct answer: 2. ab

Explanation: Acute fatty liver of pregnancy/Acute yellow atrophy of the liver:

It is a rare condition occurring in third trimester (mean gestational age of 37.5 weeks)
It is the the M/C cause of acute liver failure during pregnancy.

Aetiology:

It is associated with disorders of fatty acid transport and oxidation-deficiency of LCHAD enzyme, i.e. long chair hydroxyl aceyl coenz A dehydrogenase
Risk is increased in case of:

First pregnancy, male fetuses, preeclampsia, maternal obesity and multiple pregnancy.
Histology: Pathology

Liver is yellow, soft and greasy: